Trootter's triad consists of following, except:
1. Conduction deafness
2. Trigeminal neuralgia
3. VII nerve palsy
4. Ipsilateral soft palate immobility

Correct answer: 3. VII nerve palsy

Explanation: MNEMONICS: Trotter's triad- seen in Nasopharyngeal carcinoma (NPC) N - Neuralgia ipsilateral temporal (CN-5)P - Palatal paralysis (CN-10)C - Conductive deafness